A young man is with known heroin addiction is brought in the emergency in unconscious state. On examination, the patient has decreased bowel sounds, depressed respiration and pin point pupil. The treatment of choice for this patient is:
1. Oral natrexone
2. IV naloxone
3. Oral diazepam
4. Oral Buprenorphine

Correct answer: 2. IV naloxone

Explanation: Ref: Kaplan & Sadock's Comprehensive Textbook of Psychiatry 9th/1375-76,1384 The decreased bowel sounds, respiratory depression,pin point pupil and history of heroin addiction strongly points toward the diagnosis of acute opioid poisoning. The drug of choice for acute poisoning is intravenous naloxone.